Which of the following is a risk factor for Helicobacter pylori infection?
1. excess exposure to antibiotics
2. female sex
3. alpha 1-antitrypsin deficiency
4. low socioeconomic indicators

Correct answer: 4. low socioeconomic indicators

Explanation: Infection usually occurs early in life and is related to classic socioeconomic indicators such as poverty, domestic crowding, unsanitary living conditions, and unclean water. It is much more common in developing countries.